Preservation of brain is not required in -
1. Alkaloid poisoning
2. Organophosphorus poisoning
3. Volatile organic poisoning
4. Heavy metal poisoning

Correct answer: 4. Heavy metal poisoning

Explanation: Brain need not be preserved in heavy metal poisoning as it is not seen in brain tissue. Dr. Narayana Reddys Synopsis of Forensic Medicine & Toxicology 27 th edition pg. 62.